Articularis genu is related to
1. Vastus lateralis
2. Vastus intermedius
3. Vastus medialis
4. Rectus femoris

Correct answer: 2. Vastus intermedius

Explanation: Vastus intermedius- arises from the upper three-fourths of the anterior and lateral surface of shaft of femur. Articularis genu arises just below the vastus intermedius. Vastus lateralis-arises from upper part of intertrochanteric line, anterior and inferior aspects of the greater trochanter, the lateral margin of the gluteal tuberosity, and the upper half of the lateral lip of linea aspera. Vastus medialis: lower part of intertrochanteric line, the spiral line, medial lip of linea aspera, and the medial supracondylar line. Rectus femoris: Straight head- anterior inferior iliac spine.Reflected head-margin of acetabulum and capsule of hip joint. {Reference: BDC 6E pg no.16,17}